In a child 1 years the commonest cause of resp. Infection with wheeze is –
1. RSV
2. Influenza viurs
3. Adenovirus
4. Para influenza

Correct answer: 1. RSV

Explanation: Wheezing due to respiratory tract infection in a 1-year-old child is due to bronchiolitis.